Which of the following will be the most important adjuvant therapy in a case of fungal corneal ulcer :
1. Atropine sulphate eye ointment
2. Dexamethasone eye drops
3. Pilocarpine eye drops
4. Lignocaine eye drops

Correct answer: 1. Atropine sulphate eye ointment

Explanation: A i.e. Atropine sulphate ointment